Irresistible desire to pull out hair
1. Dipsomania
2. Trichotilomania
3. Nymphomania
4. Satyriasis

Correct answer: 2. Trichotilomania

Explanation: Trichotilomania Irresistible desire to pull out hair Dipsomania Irresistible desire to drink alcohol Nymphomania Irresistible desire to have sexual intercourse including sexual perversions, in female. Satyriasis Irresistible desire to have sexual intercourse including sexual perversions, in male. Ref: FORENSIC MEDICINE AND TOXICOLOGY Dr PC IGNATIUS THIRD EDITION PAGE 360